Osler's nodes are seen at -
1. Heart
2. Knee joint
3. Tip of Palm & Sole
4. Anterior abdominal wail

Correct answer: 3. Tip of Palm & Sole